In patients with asthma due to an allergic cause, the
serum levels of which immunoglobulin increases?
1. IgD
2. IgM
3. IgA
4. IgE

Correct answer: 4. IgE